A 60-year-old woman, Sridevi presents with a murmur suggestive of mitral stenosis and an echocardiography confirmed a mass attached to the fossa ovalis of the left atrial septum. What is the most likely diagnosis?
1. Cardiac myxoma
2. Endocarditis
3. Lymphoma
4. Metastatic cancer to the heart

Correct answer: 1. Cardiac myxoma

Explanation: Atrial myxoma is the most common benign cardiac tumor. It usually presents with symptoms of valvular obstruction (mural or tricuspid valve). It is attached by a pedicle to the fossa ovalis of the left atrial septum. It is treated by resection.